Nitric oxide acts via:
1. cAMP
2. cGMP
3. Ca
4. K

Correct answer: 2. cGMP

Explanation: Ans. (B) cGMP(Ref: Katzung 13th/e p329-330)Nitric oxide stimulates guanylate cyclase, that increases cGMP. Later is a powerful vasodilator.